Which of the following is the best route of drug administration in a newborn baby?
1. Umbilical artery
2. Umbilical vein
3. Intraosseous
4. Intratracheal

Correct answer: 2. Umbilical vein

Explanation: Umbilical vein- best route of drug administration in a newborn baby. As veins in extremities - difficult to access during resuscitation